Persistent hyperplastic primary vitreous is associated with
1. Trisomy 13
2. Trisomy 21
3. Trisomy 5
4. Monosomy 1

Correct answer: 1. Trisomy 13

Explanation: Associated with patau syndrome (Trisomy 13).